The type of fracture occur by fall from height on the feet or buttock is
1. Comminuted fracture
2. Pond fracture
3. Sutural fracture
4. Ring fracture

Correct answer: 4. Ring fracture

Explanation: Ring fracture It is a fissured fracture which encircles the foramen magnum. This type of fracture may occur by fall from a height on the feet or buttock A heavy blow on the top of head may also cause a ring fracture. In traffic accidents a forceful impact on the front of chin may also cause an annular fracture probably by the force transmitting through the mandibular joints. Ref: FORENSIC MEDICINE AND TOXICOLOGY Dr PC IGNATIUS THIRD EDITION PAGE 163